In dacryocystorhinostomy (DCR), Lacrimal gland opens into:
1. Inferior meatus
2. Middle meatus
3. Supreme meatus
4. Superior meatus

Correct answer: 2. Middle meatus

Explanation: DCR - After 4 year of age- Fistula made between medial meatus & lacrimal sac Dacryocystitis- (1) Congenital dacryocystitis - Mostly due to membranous occlusion at near the valve of hasner- Watering develops after 7 days of birth followed by mucopurulent discharge Regurgitation test positive Rx - Massage over the lacrimal sac (4 times a day) | If not able to cured by 6 months of age Probing of NLD with bowman's probe (REPEATED AFTER AN INTERVAL OF 3-4 WEEKS) |Repeated probing fails Intubation with silicone tube (silicone tube should be kept in the NLD for about six months) |After 4 years of age DCR (2) Adult dacrocystitis-Rx of Choice is DCR